Which of the following anti-asthma drugs is NOT a bronchodilator ?
1. Ipratropium bromide
2. Theophylline
3. Formoterol
4. Sodium cromoglycate

Correct answer: 4. Sodium cromoglycate